Which of the following drug when combined with Electro-convulsive therapy leads to post ictal delirium
1. Succinylcholine
2. Lithium
3. Desipramine
4. Clozapine

Correct answer: 2. Lithium

Explanation: Lithium when combined with ECT Lowered seizure threshold - Prolonged seizures(lasting > 3 min). Results in post-ictal delirium. Doses are withheld for 24 hours prior to treatment